Which of the following is the best method to assess the adequacy of replacement -
1. Decrease in thirst
2. Increase in urine output
3. Blood pressure
4. Increased PaO2

Correct answer: 2. Increase in urine output